Bartter syndrome is mutation in
1. Na-k-cl co transporter
2. Na-Cl channel
3. Renin
4. ENaC protein

Correct answer: 1. Na-k-cl co transporter

Explanation: Bartter syndrome is a group of similar rare conditions that affect the kidneys. It's genetic, which means it's caused by a problem with a gene. If you have it, too much salt and calcium leave your body when you pee. It also may cause low levels of potassium and high levels of acid in the blood. Reference: GHAI Essential pediatrics, 8th edition